Non-pathogenic Ebola virus:-
1. Zaire
2. Reston
3. Cote dlvoire
4. Bundibugyo

Correct answer: 2. Reston

Explanation: Ebola virus is a deadly human disease most commonly affecting people and non human primates(monkeys and gorillas). Ebola Virus belongs to family Filoviridae. Cause haemorrhagic fever. Out of many subtypes only 4 i.e Ebola,Sudan,Tai and Bundibugyovirus causes disease in people whereas Reston virus is known to cause disease in nonhuman primates and pigs but not in people.